What is the modification of the mapleson E breathing system used in infants?
1. Mapleson a
2. Mapleson b
3. Mapleson C
4. Mapelson F

Correct answer: 4. Mapelson F

Explanation: Mapleson f systemIt is a modification of Mapleson e by Jackson Rees and is known as Jackson Rees modificationIt has a 500 ml bag attached to the expiratory limb. This bag helps in respiratory monitoring or assisting the respiration. It also helps in venting out excess gasesIt issued in neonates, infants, and pediatric patient less than 20 kg in weight or less than 5 years of age.(Refer: Morgan and Mikhail's Clinical Anaesthesiology, 5th edition)